All of the following are associated with increased Aging, except:
1. Increased cross linkages in collagen
2. Increased superoxide dismutase
3. Increased accumulation of free radicals
4. Accumulated Mutations in somatic cells

Correct answer: 2. Increased superoxide dismutase

Explanation: Over expression of superoxide dismutase/catalase leads to extension of life span. Ref: Richard J. Aspinall, (2003), Chapter "Aging of The Skin", In the book, "Aging of Organs and Systems", USA, Page 54; Robbin's Basic Pathology, 7th Edition, Pages 42-44; Harrison's Principle of Internal Medicine, 17th Edition, Page 54; 'Aging' By Moody, 5th Edition, Pages 33, 34